Dietary fibre is rich in
1. Starch
2. Pectin
3. Collagen
4. Proteoglycan

Correct answer: 2. Pectin

Explanation: Repeated question